Atenolol is predominantly excreted by -
1. Hepatic metabolism
2. Renal excretion
3. Both hepatic and renal excretion
4. Non enzymatic elimination

Correct answer: 2. Renal excretion

Explanation: Ans. is 'b' i.e., Renal excretion Remember* Nodalol is longest acting b-blocker* Esmolol is shortest acting b-blocker* Acebutolol possesses all activities i.e., cardioselectivity, partial agonist activity, membrane stablizing activity and lipid insolubility.* Beta blockers approved for treatment of CHF: Carvedilol (most widely used), metaprolol, bisoprolol.* Carvedilol is a b1 + b2 + a1 adrenoreceptor blocker with a : b blocking property of 1 : 9. It produces peripheral vasodilatation due to a-1 blockade as well as calcium channel blockade (direct effect). It also has antioxidant and antimitotic properties.* Atenolol, sotalol and nodalol are primarily excreted by kidney - should not be given in renal failure.* Sotalol, penbutolol and pindolol have almost 100% bioavailibility.* Penbutolol has maximum oral absorption.* Carvedilol has maximum plasma protein binding.* Celiprolol has minimum plasma protein binding.* Butoxamine is a selective b2 blocker.